True about primary chancre -
1. Painless ulcer
2. Painless lymphadenopathy
3. Covered with exudate
4. All

Correct answer: 4. All

Explanation: Ans. is 'a' i.e., Painless ulcer; 'b' i.e., Painless lymphadenopathy; 'c' i.e., Covered with exudate Features of Primary Sore (Chancre) of syphilis I. Single lesion Painless Inducated base Associated with painless lymphadenopathy, bilateral. Exudation with discharging serous fluid. Option 'e' is slightly tricky. Spirochetes are abundant in the lesions of primary and secondary syphilis. So, organism can be isolated from chancre. But, as you all know, T. pallidum cannot be cultivated in artificial culture media.